Most common tumor of kidney in children is:
1. Wilms' tumor
2. Neuroblastoma
3. Polycystic kidney disease
4. Renal cell carcinoma

Correct answer: 1. Wilms' tumor

Explanation: a. Wilms' tumor(Ref: Nelson's 20/e p 2464-2465)Wilms' tumor (WT), also known as nephroblastoma, is the most common primary malignant renal tumor of childhood;It is the second most common malignant abdominal tumor in childhood.The most common sites of metastases from Wilms tumor are the lungs, regional lymph nodes, and liver.